An immunologist sees a child with a suspected primary immunodeficiency and orders a nitroblue tetrazolium test. What condition is she screening the child for?
1. Chediak-Higashi syndrome
2. Tuftsin deficiency
3. Chronic granulomatous disease
4. Wiskott-Aldrich syndrome

Correct answer: 3. Chronic granulomatous disease

Explanation: Nitroblue tetrazolium test is used as a screening test for Chronic granulomatous disease. In CGD, leukocytes fails to reduce Nitroblue Tetrazolium during phagocytosis(negative result). Positive test result means neutrophils turn blue. Negative test means nitroblue tetrazolium remains yellow. Reference: Ananthanarayan and Paniker's Textbook of Microbiology Tenth edition